Least chance of cord prolapse is seen in -
1. Vertex
2. Breech
3. Transverse
4. Compound

Correct answer: 1. Vertex

Explanation: Ans. is 'a' i.e., Vertex Factors associated with cord prolapseo Malpresentations - commonest being transverse (5-10%) & breech (3%) especially with flexed legs or footling and compound presentation (10%)o Contracted pelviso Prematurityo Twinso Hydramnioso Placental factors - minor degree of placenta previa with marginal insertion of cord or long cord,o Iatrogenic - low rupture of membranes, manual rotation of head, EC V, IP Vo Stabilising induction